Most commonly varicose veins are seen with:
1. Long Saphenous vein
2. Short Saphenous vein
3. Both
4. Papliteal and femoral vein

Correct answer: 1. Long Saphenous vein

Explanation: The usual distribution of varicose veins is below the knee in branches of greater Saphenous systemQ.